All are true about Glasgow coma scale, except ?
1. Score between 3-15
2. Obeying motor command is given maximum score
3. Consists of eye opening, motor and verbal response
4. Increased score indicates poor prognosis

Correct answer: 4. Increased score indicates poor prognosis

Explanation: Ans. is 'd' i.e., Increased Score indicates poor prognosis